Most desirable structure to anastomose with esophagus is:
1. Stomach
2. Jejunum
3. Colon
4. Duodenum

Correct answer: 1. Stomach

Explanation: Ans. (a) StomachRef Schackelford Page 256 7th edition* Best conduit for esophageal replacement-- Stomach* Best conduit for short segment replacement of esophagus-- Jejunum* Best conduit in cases of corrosive injury to stomach and esophagus-- Colon